Ideal thickness of a free gingival graft obtained from the palate is
1. 0.5 - 1 mm
2. 1-1.5 mm
3. 1.5 - 2.0 mm
4. 2.0 - 2.5 mm

Correct answer: 2. 1-1.5 mm